Which ion is essential in PCR
1. Ca+2
2. Cu+2
3. mg+2
4. 2n+2

Correct answer: 3. mg+2

Explanation: Magnesium is required as a co-factor for the enzyme Taq polymerase used in PCR.